Parathyroid 4 means:
1. Inferior parathyroid.
2. Superior parathyroid.
3. Ultimobranchial pouch.
4. None.

Correct answer: 2. Superior parathyroid.